Fernandez Reaction in Lepromine test is
1. Type 1 Hypersensitive reaction
2. Type 2  Hypersensitive reaction
3. Type 3 Hypersensitive reaction
4. Type 4 Hypersensitive reaction

Correct answer: 4. Type 4 Hypersensitive reaction